Normal CRP but increased ESR is seen in -
1. PA
2. Polymyalgia rheumatica
3. SLE
4. Systemic sclerosis

Correct answer: 3. SLE